The estimation of 3 methyl histidine in urine is used to study -
1. Status of folate in the body
2. Renal disease
3. Skeletal muscle
4. Protein absorption in the gut

Correct answer: 3. Skeletal muscle

Explanation: 3-Methylhistidine (3-MH) is a post-translationally modified amino acid which is excreted in human urine. Urinary concentrations of 3-methylhistidine serve as a reliable index of skeletal muscle protein breakdown in humans who have been subject to muscle injury. Ref Davidson 23rd edition pg 981